Suture present between parietal & occipital bones is -
1. Lambdoid suture
2. Saggital suture
3. Coronal suture
4. Metopian suture

Correct answer: 1. Lambdoid suture

Explanation: Ans. is 'a' i.e., Lambdoid suture The joints in the skull are mostly sutures. Suture are fibrous joints which offer no mobility,Coronal suture -- between the frontal bone and two parietal bonesSaggital suture -- in the median plane between two parietal bonesLambdoid suture -- between the occipital and two parietal bonesMetopic suture -- present in 3 to 8% of population; separates 2 halves of the frontal bone.Some named features of the vault :Vertex -- highest point on the saggital sutureBregma -- meeting point of coronal and saggital sutures. In the foetal skull, this is the site of the anterior fontanelle which closes at 18 months of age.Lambda -- meeting point of saggital and lambdoid sutures.Obelion -- point on the sagittal suture between 2 parietal foramina